Plasma urea / creatinine ratio of 20:1 may be seen in -
1. Rhabdomyolysis
2. Ureteric calculi
3. Pre-renal failure
4. Chronic glomerulonephritis

Correct answer: 3. Pre-renal failure